A 72 farmer present in hospital with pin point pupil & increased secretions. The diagnosis is
1. Alcohol poisoning
2. Opiod poisoning
3. Organophosphorus poisoning
4. Datura poisoning

Correct answer: 3. Organophosphorus poisoning

Explanation: Sign & Symptoms of organophosphorus can be remembered with Mnemonics: Dumbbells & Sludge : all the symptoms and signs of organophosphorus occurs due to inhibition of acetyl cholinesterase . Diarrhea Salivation Urination Lacrimation Miosis Urination Bradycardia Defecation Bronchospasm G.I upset Emesis Emesis Lacrimation Limp Sweating